Cottel's test is used to test the patency of the nares in:
1. Atrophic rhinitis
2. Rhinosporidiosis
3. Deviated nasal septum
4. Hypertrophied inferior turbinate

Correct answer: 3. Deviated nasal septum

Explanation: Ans: C (Deviated nasal symptom) Ref: Diseases of the Ear Nose and Throat by PL Dhingra 5th edn 2010.Page 164-165Explanation:In this test (he cheek is pulled laterally and subjective improvement in the airway is assessedIf there is relief in nasal obstruction then the test is positive and indicates an abnormality in the vestibular component of the nasal valve.